Lepra cells are seen in abundance in:
1. Tuberculoid leprosy
2. Lepromatous Leprosy
3. Histoid leprosy
4. Intermediate leprosy

Correct answer: 2. Lepromatous Leprosy